Extremely low birth weight refers to neonates weighing
1. < 2500 grams
2. < 2000 grams
3. < 1500 grams
4. < 1000 grams

Correct answer: 4. < 1000 grams

Explanation: Low birthweight refers to neonates weighing 1500 to 2500 g; Very low birthweight are those between 1000 and 1500 g; and Extremely low birthweight refers to those between 500 and 1000 g.Reference: William's Obstetrics; 25th edition; Chapter 42; Preterm birth